In spinal anesthesia, the drug is deposited between-
1. Dura and arachnoid
2. Pia and arachnoid
3. Dura and vertebra
4. Into the cord substance

Correct answer: 2. Pia and arachnoid

Explanation: Between pia and arachnoid in the sub arachnoid space